Which of the following is the drug of choice of treatment of corneal ulcers caused by filamentous fungi?
1. Itraconazole
2. Natamycin
3. Nystatin
4. Fluconazole

Correct answer: 2. Natamycin

Explanation: "The drug of choice for filamentous infections is natamycin and amphotericin B (0.15%) is the drug of choice for candida". ___ Atals of clinical ophthalmology
"Polyene antifungals, natamycin (5%) and amphotericin B (0.15-0.25%) are the most commonly used drugs". ____ Ocular therapeutics
"Treatment by means of local natamycin and amphotericin B drops, and miconazole ointment, these are effective against Aspergillus and fusarium (filamentous fungi)".